Which of the following condition does not cause multiple painful ulcers on tongue?
1. TB
2. Sarcoidosis
3. Herpes
4. Behcet disease

Correct answer: 2. Sarcoidosis

Explanation: Ans. (b) SarcoidosisRef : Harrison 19th ed. / 237, 417* Painful ulcers in mouth# Apthous ulcers# Behcet disease# Denture stomatitis# Thermal burns# Tuberculosis# Herpes# Carcinoma tongue# Arsenic poisoning